Most common renal condition in HIV patient is?
1. Mesangial proliferation
2. Focal segmental glomerulosclerosis
3. Membranous glomerulonephritis
4. Minimal change disease

Correct answer: 2. Focal segmental glomerulosclerosis

Explanation: ANSWER: (B) Focal segmental glomerulosclerosisREF: Harrisons Internal Medicine 17til edition Chapter 182. Human Immunodeficiency VirusDisease: AIDS and Related DisordersHIV NEPHROPATHY:Diseases ofthe kidney or genitourinary tract maybe a direct con sequence of HIV infection, due to an opportunistic infection or neoplasm, or related to drug toxicity. HIV-associated nephropathy was first described in IDUs and was initially thought to be IDU nephropathy in patients with HIV infection; it is now recognized as a true direct complication of HIV infection.Proteinuria is the hallmark of this disorder. Overall, microalbuminuria is seen in 20% of untreated HIV-infected patients; significant proteinuria is seen in closer to 2%. Edema and hypertension are rareHistologically, focal segmental glomerulosclerosis is present in 80%, and mesangial proliferation in 10-15% of casesThe most common, or "classical", type of HIV-associated nephropathy is a collapsing variant of focal segmental glomerulosclerosis (FSGS)Among the drugs commonly associated with renal damage in patients with HIV disease are pentamidine, amphotericin, adefovir, cidofovir, tenofovir, and foscarnet. TMP/SMXmay compete for tubular secretion with creatinine and cause an increase in the serum creatinine level.One of the most common drug-induced renal complications is indinavir-associated renal calculi. This condition is seen in -10% of patients receiving this HIV protease inhibitor.